The t (8;14) translocation is associated with activation of which of the following genes?
1. c-abl
2. c-myc
3. bcl-2
4. bcl-I

Correct answer: 2. c-myc